Which of the following is not a component of the hypogastric sheath?
1. Broad ligament
2. Uterosacral ligament
3. Transverse cervical ligament
4. Lateral ligament of the bladder

Correct answer: 1. Broad ligament

Explanation: Parts of the hypogastric sheath:Anterior lamina - Lateral ligament of bladder.Middle lamina - Transverse cervical ligament, rectovesical septum in males.Posterior lamina - Presacral fascia, uterosacral ligament.